A 60 year old male presents with heamaturia at onset of micturition - cause is -
1. Urethral stone
2. Bladder tumor
3. Ureteric stone
4. Prostatitis

Correct answer: 1. Urethral stone

Explanation: Ans is 'a' ie. Urethral stone Relation of hematuria to micturition Site of bleeding * Blood appears at the beginning of act Urethra * Blood appears towards the end of the act Vesical * Blood is intimately mixed throughout the process Prerenal, renal or vesical.